Which is the ideal contraceptive for a newly married couple who wants to plan their family after 6 months?
1. Barrier method
2. Combined OCP
3. IUCD
4. Progesterone only pill

Correct answer: 2. Combined OCP

Explanation: Best contraceptive for newly married couple is combined oral contraceptive pill (COC). In combined OCP the commonly used progestins are either levonorgestrel or norethisterone or desogestrel and the oestrogens principally used are either ethinyl estradiol or mestranol. It has a very low failure rate of 0.1 HWY. Failure rate of progesterone only pill is 0.5 - 2 per 100 women years of use. Failure rate of IUCD is 0.1 - 2 HWY.